Which of the following are features of common peroneal nerve injury?1. Inversion inability2. Loss of sensation of sole3. Foot drop4. Loss of extension of great toe5. Seen in fibular neck fracture
1. 2,3 & 4
2. 1,2 & 3
3. 3,4 & 5
4. All

Correct answer: 3. 3,4 & 5

Explanation: Common peroneal nerve is commonly injured during fracture neck of fibula. Other modes of injury of the common peroneal nerve may be compression caused by a tight plaster on leg and sometimes due to lathi injury on lateral side of the knee. Common peroneal nerve is divided into deep peroneal nerve and superficial peroneal nerve. Deep peroneal nerve supply muscles of anterior compartment of leg which include tibialis anterior, extensor digitorum longus, peroneus tertius and extensor hallucis longus whereas superficial peroneal nerve supply muscles of lateral compartment of the leg i.e peroneus longus and peroneus brevis. In the common peroneal nerve injury the muscles of the anterior and lateral compartment of the leg get paralysed results in weakness of dorsiflexion and eversion of the foot. As there is weakness of the dorsiflexion and eversion of the foot, the opposite muscles, the plantar flexion of the ankle joint and inversion of subtalar and transverse tarsal joint, cause the foot to be plantar flexed. So the planter flexion and inversion are normal.The patient has a high stepping gait.All the reflexes are intact (ankle jerk is lost in sciatic nerve lesions)Sensory loss is present over anterior and lateral side of the leg, dorsum of the foot and toes including medial side of the big toe.Sole of the foot derives its sensory innervation from medial calcaneal branch of tibial nerve and branches from medial and lateral plantar nerves so there is no loss of sensations in the foot. Ref: Moore's Anatomy 2/e, Page 331; BDC 4/e, Vol II, Page 86, 174; Snell's Anatomy 8/e, Page 660; Last's Anatomy 11/e, Page 168-69.